The drug of choice for Kala azar is :
1. Pentamidine
2. Amphotericin B
3. Sodium stibogluconate
4. Ketoconazole

Correct answer: 2. Amphotericin B